Renshaw cell inhibition
1. Feedback inhibition
2. Feed forward inhibition
3. Feed forward facilitation
4. Feedback facilitation

Correct answer: 1. Feedback inhibition

Explanation: Neurons may also inhibit themselves in a negative feedback manner (negative feedback inhibition). For instance, a spinal motor neuron emits a recurrent collateral that synapses with an inhibitory interneuron, which then terminates on the cell body of the spinal neuron and other spinal motor neurons. This particular inhibitory neuron is sometimes called a Renshaw cell after its discoverer. Impulses generated in the motor neuron activate the inhibitory interneuron to secrete the inhibitory neurotransmitter glycine, and this reduces or stops the discharge of the motor neuron.